Which of the following anticancer drug causes hemolyticuremic syndrome:
1. Vincristine
2. Vinblastine
3. Cisplatin
4. Mitomycin

Correct answer: 4. Mitomycin

Explanation: Ans. (d) MitomycinRef.: KDT 6th ed. / 827* After 8-10 months of start of mitomycin-C treatment, the drug leads to endothelial damage* The Renal lesions seen are similar to those seen in idiopathic HUS and include arteriolar fibrin thrombi, expanded sub-endothelial zones in glomerular capillary walls.